Eruption of Maxillary 3rd molar occur at
1. 8-9 years
2. 17-21 years
3. 14 years
4. 15-16 months

Correct answer: 2. 17-21 years